Probing and irrigation is not done in ?
1. Lacrimal fistula
2. Acute dacryocystitis
3. Congenital dacryocystitis
4. Trauma to eye

Correct answer: 2. Acute dacryocystitis

Explanation: Ans. is 'b' i.e., Acute Dacryocystitis Contraindications to probing and irrigation: The main contraindications are acute dacryocystitis and acute canaliculitis. In the setting of active infection, probing and irrigation is more likely to cause trauma because the lacrimal sac wall is inflamed and friable; it also can cause unnecessary pain and anxiety for the patient.